Hemoglobin binds/transports all except ?
1. CO
2. O2
3. SO2
4. CO2

Correct answer: 3. SO2

Explanation: Ans. is 'c' i.e., SO2